Which is the most common side effect of inhaled beclomethasone dipropionate:
1. Oropharyngeal candidiasis
2. Pneumonia
3. Atrophic rhinitis
4. Pituitary adrenal suppression

Correct answer: 1. Oropharyngeal candidiasis

Explanation: Most of the side effects of steroids are mainly hoarseness, oropharyngeal candidiasis, decreased growth in children with adrenal suppression.
• The plausible explanation is that since these drugs are inhaled, they avoid the first pass metabolism that orally administered steroids undergo and hence have a preponderance to cause the usual manifestations of steroid toxicity.